In which of the following conditions a low/controlled glycemic index diet is preferred?
1. Diabetes
2. hypertension
3. children
4. Normal adults

Correct answer: 1. Diabetes

Explanation: Ans. is 'a' i.e., Diabetes o Glycemic index is a measure of the ability of a food type to raise the blood glucose in comparison to reference food (glucose)o Obviously, low glycemic index diet should be given to diabetic patients.Glvcemic indexo The digestion of carbohydrate is by hydrolysis to liberate oligosoccharides, then free mono- and disaccharides. The increase in blood glucose after a test dose of carbohydrate compared with that after an equivalent amount of glucose (as glucose or from a reference starchy food) is known as the glycemic index. That means, glycemic index of a starchy food is a measure of its digestibility, based on the extent to which it raises the blood concentration of glucose compared with an equivalent amount of glucose or a reference food such as white bread or boiled rice. In very simple words, glycemic index is a measure of food's ability to elevate blood sugar.Where, D AUC = The incremental area under 3-hr post-prandial plasma glucose curve.FoodsGlycemic indexo Potatoes, Cornflakes Q80-90o Whole wheat bread Q, white rice70-79o Brown rice Q, bananas60-69o Buckwheat, Frozen peas50-59o Peas, beans4049o Many legumes, milk, ice cream Q, peanuts<40